All of the following are anthropozoonosis except
1. Rabies
2. Plaque
3. Anthrax
4. Schistosomiasis

Correct answer: 4. Schistosomiasis

Explanation: Ans. is 'd' i.e., Schistosomiasis Zoonoses Zoonoses are diseases and infections which are naturally transmitted between vertebrate animal and man. The zoonoses may be classified according to the direction of transmission of disease : ? l. Anthropozoonoses Infection is transmitted to man from lower vertebrate animals. Examples -4 Rabies, plague, hydatid disease, anthrax, trichinosis. 2. Zoonthroponoses Infection is transmitted from man to lower vertebrate animals Examples - Human tuberculosis in cattle 3. Amphixenoses Infection is maintained in both man and lower vertebrate animals that may be transmitted in either direction. Examples T cruzi, S. japonicum.